Sorafenib a tyrosine kinase inhibitor is used to treat which of the following?
1. Myeloproliferative disorder
2. Follicular lymphoma
3. Medullary carcinoma thyroid
4. Hepatocellular carcinoma

Correct answer: 4. Hepatocellular carcinoma

Explanation: Sorafenib is used to treat hepatoma which are not resectable as a palliative measure. Ref: arrisons Principles of Internal Medicine, 18th Edition, Page 783.